Cerebellum is derived from:
1. Prosencephalon
2. Mesencephalon
3. Rhombencephalon
4. Telencephalon

Correct answer: 3. Rhombencephalon

Explanation: Ans. C. Rhombencephalona. The brain develops from enlarged cranial part of the neural tube. At about end of fourth week, enlarged cephalic part shows three distinct dilatations called primary brain vesicles. Craniocaudally, these are (a) prosencephalon (forebrain), (b) mesencephalon (midbrain), and (c) rhombencephalon (hindbrain).b. The prosencephalon gives a rostral telencephalon and caudal diencephalon (interbrain). The telencephalon form cerebral hemispheres. The diencephalon forms thalamus, hypothalamus, epithalamus, etc.c. The mesencephalon gives rise to midbrain.d. The rhombencephalon divides into rostral metencephalon, which eventually develops into pons and cerebellum, and caudal myelencephalon, which gives rise to medulla oblongata.